Fishy net pattern is seen in –
1. Pemphigus vulgaris
2. Darier's disease
3. Bullous pemphigoid
4. Dermatitis herpetiformis

Correct answer: 1. Pemphigus vulgaris